Color of granules in mycetoma caused by Actino-madura pelletierrii
1. Black
2. Yellow
3. Red
4. Brown

Correct answer: 3. Red

Explanation: Brown to black- Madurella mycetomatis, madurella grisea, exophiala jeanselmei. White to yellow- Nocardia asteroides, Nocardia brasiliensis, Actinomadura madurai, Streptomycess somaliensis, Scedosporium apiospermum. Reference: Textbook of Microbiology; Baveja; 4th edition .